Inferior angle of scapula is at what level of rib
1. 5th
2. 6th
3. 7th
4. 8th

Correct answer: 3. 7th

Explanation: The eighth rib is just below the inferior angle of the scapula. The lower ribs can be identified on the back by counting down from the eighth rib so at the level of inferior angle of scapula is related to 7th rib. Ref : B D Chaurasia's Human Anatomy , seventh edition ,volume 1 , pg. no., 62